A 33 year old male who was travelling by a flight started fighting with one of the air hostesses. The man alleged that the airhostess is actually his 'wife' and she has changed her face, so that she cant be identified. This history is consistent with-
1. Capgras syndrome
2. Fregoli syndrome
3. Othello synderome
4. de Clerembault syndrome

Correct answer: 2. Fregoli syndrome

Explanation: Delusions of misidentification Fregoli syndrome: Delusion of familiar person imposing as a stranger and can take multiple different appearances. Capgras syndrome: Belief that a familiar person is replaced by a stranger or a stranger is imposing as a familiar person.